Function of wetting agents used in casting procedure is
1. To felicitate wetting of ring liner
2. To felicitate mixing investment
3. To reduce contact angle of a liquid with wax surface
4. For better wax elimination

Correct answer: 3. To reduce contact angle of a liquid with wax surface